A 55-year-old lady presenting to OPD with postmenopausal bleeding for 3 months has a 1x1 mm nodule on the anterior lip of cervix, the most appropriate investigation to be done subsequently is
1. Pap smear
2. Punch biopsy
3. Endocervical curettage.
4. Colposcopy

Correct answer: 2. Punch biopsy

Explanation: Ans. B. Punch biopsyPunch biopsy is required in all cases in which there is visible area of redness, an iodine negative area or an area of colposcopic abnormality.A cone biopsy and curettage should be done when cytologic examination reveals moderate or severe dysplasia, carcinoma in situ, or perhaps invasive carcinoma.